Essential pentosuria occurs due to defect in the metabolic pathway of
1. Uronic acid
2. Hexose-monophosphate
3. Glycogen
4. Fructose

Correct answer: 1. Uronic acid

Explanation: Ans. a (Uronic acid) (Ref. Harper's, Biochemistry, 26th ed., 105, 163, 170; 27th/ 177; H-18th/Table 364-1)ESSENTIAL PENTOSURIA# In liver, the uronic acid pathway catalyzes the conversion of glucose to glucuronic acid, ascorbic acid, and pentoses.# It is also an alternative oxidative pathway for glucose, but--like the pentose phosphate pathway--it does not lead to the generation of ATP.# Glucuronic acid is synthesized from glucose via the uronic acid pathway, which is of major significance for the excretion of metabolites and foreign chemicals (xenobiotics) such as glucuronides. A deficiency in this pathway leads to essential pentosuria.# In this rare hereditary disease, considerable quantities of L-xylulose appear in the urine because of absence of the enzyme necessary to reduce L-xylulose to xylitol. Parenteral administration of xylitol may lead to oxalosis, involving calcium oxalate deposition in brain and kidneys.# Various drugs markedly increase the rate at which glucose enters the uronic acid pathway.- For example, administration of barbital or of chlorobutanol to rats results in a significant increase in the conversion of glucose to glucuronate, L-gulonate, and ascorbate.ESSENTIAL FRUCTOSURIA# The lack of one enzyme of the pathway (gulonolactone oxidase) in primates and some other animals explains why ascorbic acid is a dietary requirement for humans but not most other mammals.# Deficiencies in the enzymes of fructose and galactose metabolism lead to essential fructosuria and the galactosemias.INHERITED DISORDERS OF AMINO ACID METABOLISMAmino acid(s)ConditionEnzyme DefectClinical FindingsInheritancePhenylalaninePhenylketonuriaPhenylalanine hydroxylaseIntellectual disability, microcephaly, hypopigmented skin and hairs, eczema, "mousy" odorAR DHPR deficiency hyperphenylalaninemiaDihydropteridine reductaseIntellectual disability, hypotonia, spasticity, myoclonusAR PTS deficiency hyperphenylalaninemia6-Pyruvoyl-tetrahydropterinsynthaseDystonia, neurologic deterioration, seizures, intellectual disabilityAR GCH1 deficiency hyperphenylalaninemiaGTP cyclohydrolase 1Intellectual disability, seizures, dystonia, temperature instabilityAR Carbinolamine dehydratase deficiencyPterin-4-carbinolaminedehydrataseTransient hyperphenylalaninemia (benign)ARTyrosineTyrosinemia type I (hepatorenal)Fumary -lacetoacetatehydrolaseLiver failure, cirrhosis, rickets, failure to thrive, peripheral neuropathy, "boiled cabbage" odorAR Tyrosinemia type II (oculocutaneous)Tyrosine transaminasePalmoplantar keratosis, painful corneal erosions with photophobia, intellectual disability (?)AR Tyrosinemia type III4-HydrophenylpyruvateDioxygenaseHypertyrosinemia with normal liver function, occasional mental delayAR Hawkinsinuria4-Hydroxyphenylpyruvate DioxygenaseTransient failure to thrive, metabolic acidosis in infancyAD AlkaptonuriaHomogentisic acid oxidaseOchronosis, arthritis, cardiac valve involvement, coronary artery calcificationAR Albinism(oculocutaneous)TyrosinaseHypopigmentation of hair, skin, and optic fundus; visual loss; photophobiaAR Albinism (ocular)Different enzymes or transportersHypopigmentation of optic fundus, visual lossAR, XL DOPA-responsive DystoniaTyrosine hydroxylaseRigidity, truncal hypotonia, tremor, intellectual disabilityARGABA4-Hydroxybutyric AciduriaSuccinic semialdehyde dehydrogenaseSeizures, intellectual disability, ataxiaARTryptophanKynurenic aciduriaKynurenine-3-monooxygenaseNiacin deficiency, pellagra, colitisAR Hydroxykynureninuria(xanthurenic aciduria)KynureninaseNiacin deficiency, intellectual disability, spasticityARHistidineHistidinemiaHistidine-ammonia lyaseBenignAR Urocanic aciduriaUrocanaseBenignAR Formiminoglutamic aciduriaFormi mi notransferaseOccasional intellectual disabilityARGlycineGlycineencephaiopathyGlycine cleavage (4 enzymes)Infantile seizures, lethargy, apnea, profound intellectual disabilityAR SarcosinemiaSarcosine dehydrogenaseBenignAR Hyperoxaluria type IAlanine:glyoxylateaminotransferaseCalcium oxalate nephrolithiasis, renal failureAR Hyperoxaluria type IId-Glyceric acid dehydroge- nase/ glyoxylate reductaseCalcium oxalate nephrolithiasis, renal failureARSerinePhosphoglycerate dehydrogenase deficiencyPhosphoglycerate dehydrogenaseSeizures, microcephaly, intellectual disabilityARProlineHyperprolinemia type IProline oxidaseBenignAR Hyperprolinemia type IIl-Pyrroline-5-carboxylate dehydrogenaseFebrile seizures, intellectual disabilityAR HyperhydroxyprolinemiaHydroxyproline oxidaseBenignAR Prolidase deficiencyProlidaseMild intellectual disability, chronic dermatitisARMethionineHypermethioninemiaMethionine adenosyltransferaseUsually benignAR S-Adenosylhomocysteine hydrolase deficiencyS-Adenosylhomocysteine hydrolaseHypotonia, intellectual disability, absent tendon reflexes, delayed myelinationAR Glycine N-methyltrans- ferase deficiencyGlycine N-methyltransferaseElevated liver transaminasesARHomocystineHomocystinuriaCystathionine -synthaseLens dislocation, thrombotic vascular disease, intellectual disability, osteoporosisAR Homocystinuria5,10-Methylenetetrahydro- folate reductaseIntellectual disability, gait and psychiatric abnormalities, recurrent strokesAR HomocystinuriaMethionine synthase (cbIE, -G)Intellectual disability, hypotonia, seizures, megaloblastic anemiaAR Homocystinuria and methylmalonic acidemiaVitamin B12 lysosomal efflux and metabolism (cbIC, -D, -F)Intellectual disability, lethargy, failure to thrive, hypotonia, seizures, megaloblastic anemiaARCystathionineCystathioninuriaCystathionaseBenignARCystineCystinosisCystinosin CTNS (lysosomal efflux)Renal Fanconi syndrome, rickets, photophobia, hypotonia, renal failureARS-Sulfo-I- cysteineSulfocysteinuriaSulfate oxidase or molybdenum cofactor deficiencySeizures, intellectual disability, dislocated lensesARLysineHyperlysinemia, saccharopinuriaAminoadipic semialdehyde synthaseBenignAR Pyridoxine-dependent seizuresL-l-Piperideine-6-carboxylate dehydrogenaseSeizuresARLysine, tryptophanKetoadipic acidemiaKetoadipic acid dehydrogenaseBenign? Glutaric acidemia type IGlutaryl-CoA dehydrogenaseSevere dystonia and athetosis, mild intellectual disabilityAR Glutaric acidemia type IIElectron transfer flavoprotein (ETF) or ETF:ubiquinone oxidoreductaseHypoglycemia, metabolic acidosis, "sweaty feet" odor, hypotonia, cardiomyopathy, exercise-induced myopathyAROrnithineGyrate atrophy of the choroid and retinaOrnithine 5 aminotransferaseMyopia, night blindness, loss of peripheral vision, cataracts, chorioretinal degenerationARUrea cycleCarbamoylphosphate synthase-1 deficiencyCarbamoylphosphate synthase-1Lethargy progressing to coma, protein aversion, intellectual disability, hyperammonemiaAR N-Acetylglutamate synthase deficiencyN-Acetylglutamate synthaseLethargy progressing to coma, protein aversion, intellectual disability, hyperammonemiaAR Ornithine transcar- bamylase deficiencyOrnithine transcarbamylaseLethargy progressing to coma, protein aversion, intellectual disability, hyperammonemiaXL Citrullinemia type 1Argininosuccinate synthaseLethargy progressing to coma, protein aversion, intellectual disability, hyperammonemiaAR Argininosuccinic acidemiaArgininosuccinate lyaseLethargy progressing to coma, protein aversion, intellectual disability, hyperammonemia, trichorrhexis nodosaAR Arginase deficiencyArginaseSpastic tetraparesis, intellectual disability, mild hyperammonemiaAR Hyperornithinemia, hyperammonemia, homocitrullinuriaMitochondrial ornithine carrier ORNT1Vomiting, lethargy, failure to thrive, intellectual disability, episodic confusion, hyperammonemia, protein intoleranceAR Citrullinemia type 2Mitochondrial aspartate/ glutamate carrier CTLN2Neonatal intrahepatic cholestasis, adult presentation with sudden behavioral changes and stupor, coma, hyperammonemiaARProline, ornithine, argininel-pyrroline-5-carboxylate synthase deficiencyl-pyrroline-5-carboxylate synthaseHypotonia, seizures, hyperammo- nemia, neurodegenerationARGlutamineGlutamine synthase deficiencyGlutamine synthaseBrain malformations, pachygyria, seizures, hypotonia, dysmorphic featuresARValineIsobutyryl-CoA dehydro- genase deficiencyIsobutyryl-CoA dehydrogenaseFailure to thrive, anemia, and dilated cardiomyopathy(?)ARValine, leucine, isoleucineMaple syrup urine diseaseBranched chain ketoacid dehydrogenaseLethargy, vomiting, encephalopathy, seizures, intellectual disability, "maple syrup" odor, protein intoleranceARLeucineIsovaleric acidemiaIsovaleryl-CoA dehydrogenaseAcidosis, ketosis, vomiting, coma, hyperammonemia, "sweaty feet" odor, protein intoleranceAR 3-Methylcrotonyl glycinuria3-Methylcrotonyl-CoA carboxylaseStress-induced metabolic acidosis, hypotonia, hypoglycemia, "cat's urine" odorAR 3-Methyfglutaconic aciduria type 13-Methylglutaconyl-CoA hydratase deficiencyStress-induced acidosis, leukoencephalopathyAR 3-Hydroxy-3-methylglutaricaciduria3-Hydroxy-3-methylglutaryl- CoA lyaseStress-induced hypoketotic hypoglycemia and acidosis, encephalopathy, hyperammonemiaARIsoleucine2-Methylbutyryl-glycinuria2-Methylbutyryl-CoA dehydrogenaseFasting-induced metabolic acidosis/hypoglycemiaAR 2-Methyl-3-hydroxybutyryl- CoA dehydrogenase deficiency2-Methyl-3-hydroxybutyryl- CoA dehydrogenaseDevelopmental regression, seizures, and rigidity sometimes triggered by illnessesXL 3-Oxothiolase deficiency3-OxothiolaseFasting-induced acidosis and ketosis, vomiting, lethargyARValine, isoleucine, methionine, threoninePropionic academia (pccA,-B,-C)Propionyl-CoA carboxylaseMetabolic ketoacidosis, hyperammonemia, hypotonia, lethargy, coma, protein intolerance, intellectual disability, hyperglycinemiaAR Multiple carboxylase/ biotinidase deficiencyHolocarboxylase synthase or biotinidaseMetabolic ketoacidosis, diffuse rash, alopecia, seizures, intellectual disabilityAR Methylmalonic acidemia {mutase, racemase, CbIA, -B, -D)Methylmalonyl-CoA mutase/ racemase or cobalamin reductase/ adenosy (transferaseMetabolic ketoacidosis, hyperammonemia, hypertonia, lethargy, coma, protein intolerance, intellectual disability, hyperglycinemia